Nasolacrimal duct opens into: (Repeat)
1. Inferior meatus
2. Superior meatus
3. Middle meatus
4. Sphenoethmoidal recess

Correct answer: 1. Inferior meatus

Explanation: Ans: A (Inferior meatus) Ref: Gray's Anatomy, 40th edition. pg. 550Explanation:Lateral wall of the nose has 3 concha 3 meatusThe inferior concha is an independent bone.The space under cover of the inferior concha is known as the inferior meatus- largest meatusDuring postnatal development, the ostium of the nasolacrimal duct moves upwards and is increasingly hidden under the over-arching inferior concha.The middle and superior concha are parts of ethmoidal labyrinthThe space undercover the middle concha and superior concha is called middle meatus and superior meatus respectivelyThe area intervening between the superior concha and nasal roof is called as supreme meatus ContentsSupreme meatusOpening of spenoidal sinusSuperior meatusPosterior ethmoidal sinusMiddle meatusBulla ethmoidalis Hiatus semilunaris Openings of maxillary and ethmoidal sinusInferior meatusNaso lacrimal duct